Which of the following is FALSE regarding Autosomal dominant polycystic kidney disease (ADPKD)
1. Berry aneurysm is the most common CNS manifestation
2. Increased risk of subarachnoid from a ruptured intracranial aneurysm
3. Polyductin gene is involved in ADPKD
4. Saccular aneurysms may be detected in up to 10% of asymptomatic patients

Correct answer: 3. Polyductin gene is involved in ADPKD

Explanation: * In ADPKD, mutations in the PKD1 gene on chromosome 16 (ADPKD-1) account for 85% of cases * Mutations in the PKD2 gene on chromosome 4 (ADPKD-2) account for the remainder